The Iodine:Particle ratio is maximum for
1. Ionic monomers
2. Ionic dimers
3. Non-ionic dimers
4. Non-ionic monomers

Correct answer: 3. Non-ionic dimers

Explanation: -Iodine Particle Ratio of Ionic Monomer - 3:2 - Ratio of Ionic Dimer - 6:2 - Ratio of Non-ionic Monomer - 3:1 - Ratio for Non-ionic Dimer is - 6:1